A patient is brought to you with alleged history of assault 2 hours ago. You seen multiple well defined bruises with vesication over the flexor aspect of left hand and skin of right leg. You suspect that the bruises are artificially made. Which of the following will be more suggestive of an artificially made wound?
1. Bright red wound
2. The wound margins are well defined with small vesicles covering it
3. Inflammation at the site of the wound
4. Extravasated blood present

Correct answer: 2. The wound margins are well defined with small vesicles covering it

Explanation: Feature of artificial bruising is given below: 1) Seen on exposed easily accessible parts 2) Dark brown in colour 3) Well defined wound covered with vesicles 4) Inflammation around the surrounding site 5) Itching 6) Vesicles on the fingertip and other parts of the body due to scratching Note: Artificial bruises can be caused by juice of marking nut, calotropis or plumbago rosea Ref: Textbook of Forensic Medicine by Narayana Reddy, Edition 20, Page 155